Testosterone inhibitor is -
1. Spironolactone
2. Clomiphene
3. Bremelanotide
4. Sildenafil

Correct answer: 1. Spironolactone

Explanation: Ans. is 'a' i.e., Spironolactone Antiandrogens are ? Danazole 3. Flutamide 5. Finasteride Cyproterone acetate 4. Bicalutamide 6. Dutasteride Other antiandrogens Superactive GnRH agonists Spironolactone Progesterone Ketoconazole Cimetidine